Features of Balint's syndrome include which of the following?
1. Prosopagnosia
2. Simultanagnosia
3. Construction apraxia
4. Dressing apraxia

Correct answer: 2. Simultanagnosia